Whitfield's ointment consists of -
1. 3% salicylic acid + 6% benzoic acid
2. 3% benzoic acid + 6% salicylic acid
3. 2% salicylic acid + 4% benzoic acid
4. 2% benzoic acid + 4% salicylic acid

Correct answer: 1. 3% salicylic acid + 6% benzoic acid

Explanation: Ans. is 'a' i.e., 3% salicylic acid + 6% benzoic acid Whitfield's Ointmento Whitfield's ointment is salicylic acid and benzoic acid in a suitable base, such as lanolin or vaseline,o The original ointment contains 3% salicylic acid and 6% benzoic acid, but other ratios are also used,o It is used for the treatment of fungal infections, such as athlete's foot. Its effectiveness is unclear,o It can have a slight burning effect that goes away after a few minutes,o It is named for Arthur Whitfield (1868-1947), a British dermatologist.